Not a feature of acute arterial Occlusion -
1. Cyanosis
2. Pallor
3. Paralysis
4. Paraesthesia

Correct answer: 1. Cyanosis